Which type of FSGS has worst prognosis
1. Perihilar variant
2. Collapsing variant
3. Glomerular tip variant
4. Cellular variant

Correct answer: 2. Collapsing variant

Explanation: Collapsing variant has the worst prognosis.
It is also associated with HIV.